Great Hilar Dance on Fluoroscopy is a feature of
1. PDA
2. ASD
3. VSD
4. MS

Correct answer: 2. ASD

Explanation: *Great Hilar Dance is Vigorous pulmonary arterial pulsations seen due to increased blood flow, seen fluoroscopically in patients with Atrial septal defects.